Young's operation is indicated in
1. Atrophic rhinitis
2. Idiopathic rhinitis
3. Allergic rhinitis
4. Vasomotor rhinitis

Correct answer: 1. Atrophic rhinitis

Explanation: Types of rhinitisTreatmentViral rhinitis Bedrest Plenty of fluids Antihistaminic Nasal decongestants Bacterial rhinitis Antibiotics along with antihistaminicIrritative rhinitis Removal of offending agent Chronic simple rhinitis Treat the cause Nasal irrigation with alkaline solution Nasal decongestants AntibioticsHypertrophic rhinitis Linear cauterizationSubmucosal diathermy Cryosurgery of turbinates Partial or total turbinectomy Submucosal resection of turbinate bone Submucosal injection of Teflon plate Medialization of lateral wall of nose LasersAtrophic rhinitis Medical Nasal irrigation with crusts removal 25% glucose in glycerineLocal antibiotics Oestradiol spray Placental extract injected submucosallyStreptomycin 1g/day for 10 days Potassium iodide Surgical Young's operation Modified young's operation Narrowing of nasal cavities Rhinitis sicca Correction of occupational surroundings Application of bland ointment or with antibiotic & steroid Nasal douching Rhinitis caseosa Removal of debris and granulation tissue Free drainage of affected sinuses Allergic rhinitis Avoidance of allergen AntihistaminicSympathomimetic drugs - pseudoephedrine & phenylpropanolamineCorticosteroids - Beclomethasone dipropionate , budesonide , fluticasone , mometasone Sodium cromoglycate Immunotherapy or hyposensitization Vasomotor rhinitis Medical Avoidance of physical factors Antihistaminics& nasal decongestants Topical & systemic steroids Surgical Vidian neurectomy Rhinitis medicamentosa Withdrawal of nasal drops Short course systemic steroid therapy Surgical resection of turbinates Rhinitis of pregnancy Limited use of nasal drops Topical steroids Cryosurgery Gustatory rhinitis Ipratropium bromide nasal spray (Refer: PL Dhingra, Textbook of Ear, Nose, Throat, 6thedition, pg no: 154)